All of these arises from neuroepithelial cells except
1. Neuron
2. Oligodendrocyte
3. Microglial cells
4. Ependymal cells

Correct answer: 3. Microglial cells

Explanation: There is a third type of neuroglial cells called microglia.This type does not develop from cells of neural tube but migrates into it along with blood vessels.These are mesodermal in origin Human embryology Inderbir Singh Tenth edition Pg 116